A young man gets into a fight after taking bear and is kicked in the lower abdomen. There was pelvic fracture, blood at meatus. Most likely cause is -
1. Rupture of membranous urethra
2. Bulbar urethral injury
3. Bladder rupture
4. Kidney laceration

Correct answer: 1. Rupture of membranous urethra